Chemical Burn is caused by:
1. Aspirin.
2. Silver nitrate.
3. Sodium Hypochlorite.
4. All of the above.

Correct answer: 4. All of the above.